In cavity preparation, line angle is
1. Union of three surfaces
2. Union of four surfaces
3. The junction of two plane surfaces of different orientation along a line
4. Internal boundary of a cavity

Correct answer: 3. The junction of two plane surfaces of different orientation along a line